Mycobacterium scrofulaceum which cause scrofula, belongs to which groups of atypical mycobacteria -
1. Photochromogens
2. Scotochromogens
3. Non-photochromogens
4. Rapid growers

Correct answer: 2. Scotochromogens

Explanation: Ans. is 'b' i.e., Scotochromogens